The most effective treatment of pruritus in uremia is :
1. Ultraviolet light
2. Cholestyramine
3. Eskazine
4. Topical benzocaine

Correct answer: 1. Ultraviolet light

Explanation: A. i.e. Ultraviolet light